The pharyngeal muscle which forms a part of buccinator mechanism is:
1. Inferior constrictor
2. Middle constrictor
3. Superior constrictor
4. Palatopharyngeus

Correct answer: 3. Superior constrictor

Explanation: The diagram depicts the muscle involvement in buccinator mechanism: